Most important cause of abdominal distension in intestinal obstruction -
1. Cases produced by bacterial activity
2. Cases diffused from blood
3. Swallowed air
4. Products of digestion

Correct answer: 3. Swallowed air

Explanation: Ans. is 'c' i.e., Swallowed air o In intestinal obstruction distension of the intestine is caused by accumulation of gas and fluid proximal to and within the obstructed segmented. o 70-80% of this intestinal gas consists of swallowed air.